Which of the following is not true regarding tubercular osteomyelitis
1. It is secondary to TB
2. Periosteal reaction is seen
3. Sequestrum is uncommon
4. inflammation is minimum

Correct answer: 2. Periosteal reaction is seen

Explanation: peiosteal reaction is usually not seen in tubercular osteomyelitis. Tuberculous osteomyelitis * Bone Tuberculosis * Hematogenous spread of organisms from an active focus of tuberculosis : -- lung (common) -- mediastinal or aortic lymph nodes -- kidney -- bowel * Most common in children&youngs * The vertebrae and the long bones of the extremities are most frequently involved * In many cases the infection also spreads to contiguous joints such as the hip, knee, and intervertebral joints Pathology * The onset of tuberculous osteomyelitis is usually insidious. * The infection is unrelenting, necrotizing, and destructive of bone, cartilage, and soft tissue. * The tuberculous exudation and the inflammatory necrosis may extend through the medullary and cortical bone, penetrate through the periosteum, and progress through the epiphysial and articular , cartilage. * Tunneling sinuses may extend into the adjoining soft tissue and drain to the skin surface. * Sequestration and the formation of an involucrum are uncommon . Tuberculosis of the spine (Potts disease)* * The thoracic and lumbar vertebrae * The infection often begins in the anterior part of the vertebral body and extends into the intervertebral disc: 7- - Destruction and collapse of the vertebral bodies and discs -- Kyphosis -- Kyphoscoliosis xray of tb osteomylitis ref : maheswari 9th ed